Intraocular penetration of topically-instilled drugs is mainly determined by the corneal:
1. Epithelium
2. Endothelium
3. Stroma
4. Bowman's and Descemet's membrane

Correct answer: 1. Epithelium

Explanation: Ans. Epithelium